Standard light-curing tip has a diameter of:
1. 3 mm.
2. 5 mm.
3. 8 mm.
4. 11 mm.

Correct answer: 4. 11 mm.

Explanation: Standard light curing tip of QTH light has a diameter of 11mm.